Heller's syndrome is characterized by regression of milestones after _________
1. 1 year
2. 2 years
3. 3 years
4. 6 months

Correct answer: 2. 2 years

Explanation: Heller's syndrome (childhood disintegrative disorder) is characterized by normal development till the age of 2 years. After which there is loss of social, motor & language skills.